A farmer from Himachal Pradesh present with inguinal lymphadenopathy. On examination multiple small ulcers are seen in leg. Which of the following stain would you prefer for bipolar staining of etiologic agents of this case?
1. KOH
2. Gram stain
3. Wayson's
4. Nigrosin

Correct answer: 3. Wayson's

Explanation: Ans. (c) Wayson's This is a case of bubonic plague Why? The geographical Area - Himachal Pradesh which is one of the foci of plague in India Other are: Kolar at the trijunction of AP, TN, Karnataka Beed - Latur belt in Maharashtra Small pocket in Uttaranchal Clinical Presentation of Patient Enlarged tender inguinal lymphnodes is commonest manifestation of bubonic plague. Multiple small ulcer, represent flea bites Now coming to question Plague is caused by Yersina pestis a gram-negative short bacilli In smear stained with Wayson, Giemsa or methylene blue, it shows bipolar staining (safety pin appearance) with the two ends densely stained and the central area clear. The bacilli characteristically show pleomorphism which gets enhanced in media containing 3% NaCl. It is non- motile, non-sporing and non-acid fast.